Sirtuins are associated with
1. Memory
2. Vision
3. Metabolism
4. Olfaction

Correct answer: 3. Metabolism

Explanation: Sirtuins are a family of proteins that play a role in aging by regulating cellular health. They're responsible for critical biological functions like DNA expression and aspects of aging. However, sirtuins can only function in the presence of NAD+, nicotinamide adenine dinucleotide, a coenzyme found in all living cells Ref: guyton and hall textbook of medical physiology 12 edition page number:534,535,536